Nerve supply of Teres major is ?
1. Suprascapular nerve
2. Axillary nerve
3. Upper subscapular
4. Lower subscapular nerve

Correct answer: 4. Lower subscapular nerve

Explanation: Ans. is 'd' i.e., Lower subscapular nerve